All of the following feature may be seen in thrombotic thrombocytopenic purpura, except -
1. Fever
2. Haemolysis
3. Hypertension
4. Low platelets count

Correct answer: 3. Hypertension